True about deep inguinal ring is -
1. Defect in fascia transversalis
2. Commonest site of direct hernia
3. Present medial to inferior epigastric artery
4. Lies an inch above the mid inguinal point

Correct answer: 1. Defect in fascia transversalis

Explanation: -        Deep inguinal ring lies lateral to rectus abdominis, as an opening in fascia transversalis.
-        It lies 1.25 cms above mid inguinal point.
-        Inferior epigastric vessels lie medial to the deep inguinal ring.
-        Through the deep inguinal ring, indirect hernia enters the inguinal canal.